Root end conditioning materials are:
1. Citric acid.
2. Doxycycline.
3. EDTA.
4. All of the above.

Correct answer: 4. All of the above.